Which of the following production is noted in Cushing's Syndrome a tumour associated -
1. Decrease production of cortisol
2. Increase production of cortisol
3. Excessive production of epinephrine
4. Excessive production of vasopressin

Correct answer: 2. Increase production of cortisol

Explanation: Cushing syndrome or hypercortisolism is a disorder of adrenal gland due to excess production of cortisol. It may be exogenous or endogenous. Exogenous is mainly due to administration of exogenous glucocorticoids. Endogenous may be: -ACTH independent: *primary adrenal neoplasms -ACTH dependent: *ACTH secreting pituitary adenoma (ref:ROBBINS Text book of pathology)